Colour of ethylene cylinder is:
1. Blue
2. Grey
3. Orange
4. Purple

Correct answer: 4. Purple

Explanation: Purple